Which of the following drugs is most likely to cause loss of equilibrium and auditory change
1. Amikacin
2. Ethambutol
3. Isoniazide
4. Rifabutin

Correct answer: 1. Amikacin

Explanation: Ref-KDT 6/e p721 Aminogycosides can cause nephrotoxicity, ototoxicity and neuromascular block